Mechanism of action of pit and fissures sealant is by:
1. Blocking the nutrient supply to bacteria
2. Killing micro-organism causing caries
3. Neutralising acid produced by bacteria
4. All of these

Correct answer: 1. Blocking the nutrient supply to bacteria